What is seen in CO poisoning?
1. Oxygen curve shifts to left
2. Hypoxic hypoxia
3. Cyanosis
4. Diffusion capacity of lung decreases

Correct answer: 1. Oxygen curve shifts to left